Cavities beginning in the proximal surfaces of bicuspids and molars are
1. Class 1
2. Class 2
3. Class 4
4. Class 6

Correct answer: 2. Class 2